Thymidylated RNA present in:
1. mRNA
2. rRNA
3. tRNA
4. 16-s-RNA

Correct answer: 3. tRNA

Explanation: C i.e. t RNAThe TN/ C arm of tRNA has sequence of thymidineQ, Pseudouridine, and cytosine.The Tyr C arm of tRNA is involved in binding of amino acyl - tRNA to the ribosomal surface at the site of protein synthesis.hn RNA is heterogenous nuclear RNA, they are processed to generate the mRNA, which then enter the cytoplasm to serve as template for protein synthesis.